Alternating RBBB with Left anterior hemiblock is seen in
1. 1' degree heart block
2. Complete heart block
3. Mobitz type II block
4. Bi-fascicular block

Correct answer: 4. Bi-fascicular block

Explanation: Ans. is 'd' i.e., Bi-fascicular block Bifascicular block - combination of RBBB with either left anterior hemiblock or left posterior hemiblock. Tri fascicular block - RBBB plus either LAHB/LPHB+ first degree AV block. Complete heart block destruction of - AV node leading to AV dissociation